In retinal detachment -
1. Effusion of fluid into the suprachoroidal space
2. Retinoschisis
3. Separation of sensory retina from pigment epithelium
4. None of the above

Correct answer: 3. Separation of sensory retina from pigment epithelium

Explanation: Retinal detachment is the seperation of neurosensory retina proper from the pigment epithelium. Normally, these two layers are loosely attached to each other with a potential space in between. Ref;A.K.Khurana; 6th edition;298